Not true about Ribozyme is:
1. It is a protein
2. Involved in transesterification
3. Involved in peptide bond formation
4. Catalyst RNA

Correct answer: 1. It is a protein

Explanation: RIBOZYME - Ribozymes are RNA molecules with catalytic activity At least five distinct species of RNA that act as catalysts have been identified. Three are involved in the self processing reactions of RNAs while the other two are regarded as true catalysts (RNase P and rRNA). (1) rRNA- 23S RNA (prokaryotes) - 28s RNA (eukaryotes) - peptidyl transferase / transpeptidase - catalyzes peptide bond formation on the ribosome. (2) splicing - After transcription, during RNA processing, introns are removed and the exons are ligated together to form the mature mRNA that appears in the cytoplasm; this process is termed RNA splicing. * - ribozyme Sn RNA having role in removal in introns . (3) RIBONUCLEASE P - It cleaves tRNA precursors to generate mature tRNA molecules.